Glucose is absorbed in intestine by?
1. Secondary active transport
2. Facilitated diffusion
3. Simple diffusion
4. Primary active transport

Correct answer: 1. Secondary active transport

Explanation: In all cells: Glucose enters by (along conc. Gradient) facilitated diffusion GLUT, EXCEPT: GIT & kidney | Glucose has to enter against concentration gradient & cross the apical & basolateral cell surfaces to get absorbed into the bloodstream. The transporter facilitating glucose absorption into the intestinal cells: SGLT secondary active transport. Glucose exits from the cell to the bloodstream GLUT -2 (facilitated diffusion) Ans 1>2